Insulin secretion is associated with:
1. Zinc
2. Copper
3. Manganese
4. Chromium

Correct answer: 1. Zinc

Explanation: Zinc